Which of the following statement is false
1. Primary biliary cholangitis involves only intrahepatic.
2. Primary biliary cholangitis is associated with rheumatoid arthritis
3. Primary sclerosing cholangitis is seen in males > females
4. Primary sclerosing cholangitis involves only extrahepatic.

Correct answer: 4. Primary sclerosing cholangitis involves only extrahepatic.

Explanation: Primary sclerosing cholangitis affects both intrahepatic and extrahepatic.